Resting membrane potential of neurons is about
1. +60mv
2. +70mv
3. -60mv
4. -70mv

Correct answer: 4. -70mv

Explanation: A membrane potential results from separation of positive and negative charges across the cell membrane. In neurons, the resting membrane potential is usually about –70 mV, which is close to the equilibrium potential for K+